All of the following may result in under filling of a root canal EXCEPT
1. Apical perforation
2. Edge formation
3. Short length estimation
4. Lateral perforation

Correct answer: 1. Apical perforation